Epoophoron is a remnant of
1. Wolffian duct
2. Mullerian duct
3. Gubernaculum
4. None

Correct answer: 1. Wolffian duct

Explanation: Human embryology Inderbir Singh's; Tenth edition; Pg 315 We have seen that most of the mesonephric tubules disappear. Some persist to form the vasa deferentia. Other mesonephric tubules persist to form some vestigial structures that are seen near the testes Epoophron: This consists of a longitudinal duct running parallel to the uterine tube and a number of transverse ductules that open into the longitudinal duct. It corresponds to the epididymis and vasa efferentia of male. It develops from remnants of the mesonephric tubules (Wolffian duct)